Enalapril use is not advisable in the following conditions except
1. Single kidney
2. Diabetic nephropathy with albuminuria
3. Bilateral renal artery stenosis
4. Hyperkalemia

Correct answer: 2. Diabetic nephropathy with albuminuria

Explanation: ACE inhibitors (e.g. enalapril 20 mg daily, ramipril 5-10 mg daily or lisinopril 10-40 mg daily). These inhibit the conversion of angiotensin I to angiotensin II and are usually well tolerated. They should be used with particular care in patients with impaired renal function or renal artery stenosis because they can reduce the filtration pressure in the glomeruli and precipitate renal failure. Electrolytes and creatinine should be checked before and 1-2 weeks after commencing therapy. Side-effects include first dose hypotension, cough, rash, hyperkalaemia and renal dysfunction. ref:davidsson's principles and practices medicine,21 st ed,pg no 609